Anaesthetic having epileptogenic potential is :
1. Desflurane
2. Sevoflurane
3. Ether
4. Halothane

Correct answer: 2. Sevoflurane

Explanation: Sevoflurane, Enflurane and Isoflurane have epileptic potential.